WHO grade of a HIV child with parotid enlargement:
1. Stage 1
2. Stage 2
3. Stage 3
4. Stage 4

Correct answer: 2. Stage 2

Explanation: Ans: B (Stage 2) Ref: Antiretroviral Therapy for HIV Infection in Infants and Children: Towards Universal Access: Recommendations fora Public Health Approach: 2010 Revision, WHO 2010Explanation: WHO Clinical Staging for Infants and children with HIV infectionClinical Stage 1AsymptomaticPersistent generalized lymphadenopathy.Clinical Stage 2Unexplained persistent hepatosptenomegalyPapular pruritic eruptionsExtensive wart virus infectionExtensive molluscum contagiosumRecurrent oral ulcerationsUnexplained persistent parotid enlargementGingival erythemaHerpes zosterRecurrent or chronic URi { Otitis media, sinusitis. Tonsillitis, Rhinitis)Fungal nail infection.Clinical Stage 3Unexplained moderate malnutrition not responding to standard therapy.Unexplained persistent diarrhoea (14 days or more).Unexplained persistent fever ( Above 37.5 deg Celsius, for more than 1 month).Persistent oral candidiasis (after first 6 weeks of life).Oral hairy leukoplakia.Acute necrotizing ulcerative gingivitis/periodontitis.Lymph node TB.Pulmonary TB.Severe recurrent bacterial pneumonia.Symptomatic lymphoid interstitial pneumonitis.Chronic HIV associated lung disease including bronchiectasis.Unexplained anaemia {<8.0 g/dl), neutropenia (<0.5x109/L3) or chronic thrombocytopenia (<50 x 109/L3).Clinical Stage 4Unexplained severe wasting, stunting or severe malnutrition not responding to standard therapy.Pneumocystis pneumonia (PCP).Recurrent severe bacterial infections (Empyema. Pyomyositis, Bone or joint infection, Meningitis but excluding pneumonia.Chronic herpes simplex infection (OrolabiaL cutaneous of more than one month's duration, or visceral at any site).Extrapulmonary TB.Kaposi sarcoma.Oesophageal candidiasis (or candiadisis of trachea, bronchi or lungs).Central nervous system foxop/asmos/s (after the neonatal period).HIV encephalopathy.Cytomegatovirus (CMV) infection; retinitis or CMV infection affecting another organ, with onset at age more than 1 month.Extrapulmonary cryptococcosis including meningitis.Disseminated endemic mycosis (extrapulmonary histoplasmosis, coccidioidomycosis, penidlliosis).Chronic cryptosporidiosis (with diarrhoea).Chronic isosporiasis.Disseminated non-tuberculous mycobacterial infection.Cerebral or B cell non-Hodgkin lymphoma.Progressive multifocal leukoencephalopathy.HIV-associated cardiomyopathy or nephropathy.